Cricothyroidotomy is contraindicated in
1. Age below 5 years
2. Age between 15-20 yrs
3. Age between 20-30 yrs
4. Age between 30-40 yrs

Correct answer: 1. Age below 5 years